Leukocyte common antigen is:
1. CD 45
2. CD 20
3. CD 19
4. CD 41

Correct answer: 1. CD 45

Explanation: Ans. (a) CD 45(Ref: Robbins 9th/pg 590; 8th/pg 600; Wintrobe's 12th/pg 2522)CD 45Found in all hematopoietic cells except erythrocytes.CD45 plays an essential role in lymphocyte activation.Peripheral blood naive T cells are CD45RA, whereas memory (activated) T cells are CD45RO+